The drug of choice for chempprophylaxis in contacts of a patient of penumonic plague is
1. Penicillin
2. Rifampicin
3. Erythromycin
4. Tetracycline

Correct answer: 4. Tetracycline

Explanation: Cholera: Tetracycline or furazolidone for household contacts Bacterial conjunctivitis: Erythromycin ophthalmic ointment Diphtheria: Erythromycin Influenza: Oseltamivir Meningitis, meningococcal: Ciprofloxacin, and minocycline Plague: Tetracycline for contacts of pneumonic plague Ref: 25th edition, Park's Textbook of Preventive and Social Medicine, Page no. 137